Not a pyrethram derivative?
1. Cypermethrin
2. Permithrin
3. DDT
4. Resmethrin

Correct answer: 3. DDT

Explanation: park's textbook of preventive and social medicine 23rd edition *synthetic pyrethroids devoloped so far are tetramethrin,resethrin,prothrin and propahin *they are now being devoloped to replace natural pyrethrins some are found to be as much as 10ttimes as effective as naturally occuring pyrethrins .